Bracket calcification on skull X-ray is seen in
1. Tuberous sclerosis
2. Sturge-Weber Syndrome
3. Corpus callosum lipoma
4. Meningioma

Correct answer: 3. Corpus callosum lipoma

Explanation: Ans. c. Corpus callosum lipoma